Radiological feature of osteosarcoma is:
1. New bone formation
2. Sunray appearance
3. Cotton wool app.
4. Osteoid formation

Correct answer: 2. Sunray appearance

Explanation: B i.e. Sunray appearance The X Ray findings of osteosarcomas are characterized by: Variable mixture of radiopacities (due to osteogenesis) & radiolucencies (due to destructive change & replacement by radiolucent osteoid) - Sun Burst/ Sun ray appearanceQ - Codman's triangleQ (also found in infection & Ewing's SA so not specific) Disease Radiological Feature Osteosarcoma * Variable mixture of radiopacities & radiolucency (hallmark)(2 * Sun burst/sun ray appearanceQ (IInd) * Codman's triangleQ (non specific) Osteoclastoma Soap Bubble appearanceQ Ewing's Sarcoma Onion peel appearanceQ Paget's disease * In Osteolytic Hot phase - Advancing wedge/Blade of Grass/Candle flame appearance (Mn = ABC) * In Mixed phase - Cotton Ball SkullQ - Picture Frame VeebraeQ * In Cool Phase - Bowing - Bone density increased